Maximum dose of lignocaine with adrenaline (in mg/kg) –
1. 4
2. 5
3. 7
4. 10

Correct answer: 3. 7